PCT absorbs all except:
1. Sodium
2. Glucose
3. Hydrogen ions
4. Amino acids

Correct answer: 3. Hydrogen ions

Explanation: PCT reabsorbs all of the filtered glucose and amino acids. PCT reabsorbs largest fraction (about 67%) of the filtered Na+, K+, Ca2+, Cl-, HCO3-, and water H+ is secreted by the PCT; it is for the re-absorption of the filtered HCO3-. Fluid at the end of the PCT is always Iso-osmotic to plasma. Glomerulotubular balance in the proximal tubule:- This phenomenon tends to minimize the effects of a fluctuating GFR on Na+ and water excretion, which promotes a constant plasma volume. It maintains Constant fractional reabsorption (about 67%) of the Filtered Na+ and water, even if the GFR varies.